Congenital infection in fetus with minimal teratogenic risk is:
1. HIV
2. Rubella
3. Varicella
4. CMV

Correct answer: 1. HIV

Explanation: Ans. is a, i.e. HIVRef. Dutta Obs. 7/e, p 300Teratogenic effects have not been documented with HIV infectionRubella, varicella and CMV infections have all been linked to a variety of congenital malformation in the fetusEffects of maternal HIV infection in pregnancyOn motherOn fetusThe course of HIV in mother remains unaltered as a result of pregnancyMaternal mortality or morbidity are not increased by HIVMain problems a/w HIV infection during pregnancy are related to preterm birth and IUGR.No teratogenic effects have been reported. Preterm labor, IUGRNo teratogenic effectsHIVMeaslesInfluenzaMumpsInfections causing congenital malformation (teratogenic effect)RubellaVaricellaToxoplasmosisMumpsCMVParvovirus